All of the following are true for colloid bodies (drusens) except:
1. Are hyaline excrescences of Bruch's membrane
2. Are secreted by pigment epithelial cells
3. Are usually associated with marked loss of vision
4. Are a percursor of disciform maci degeneration in some eyes

Correct answer: 3. Are usually associated with marked loss of vision

Explanation: Ans. Are usually associated with marked loss of vision